Which of the following statement regarding pancreatitis is true ?
1. Acute pancreatitis has reversible changes
2. Alcohol causes only acute pancreatitis
3. Chronic pancreatitis shows no signs of inflammation
4. Acute pancreatitis affects mainly younger population

Correct answer: 1. Acute pancreatitis has reversible changes

Explanation: Chronic pancreatitis is a disease process characterized by irreversible damage to the pancreas as distinct from the reversible changes noted in acute pancreatitis. The condition is best defined by the presence of histologic abnormalities, including chronic inflammation, fibrosis, and progressive destruction of both exocrine and eventually endocrine tissue. Alcohol is implicated in both acute and chronic pancreatitis and both can occur in young adults.